The most common brain tumor is
1. Meningioma
2. Oligodendroglioma
3. Secondaries
4. Craniopharyngioma

Correct answer: 3. Secondaries

Explanation: Most common Brain tumors are Secondaries or metastasis Most Common primary Brain tumor is a Meningioma Most common intraparenchymal Brain tumor is Glioma Most common calcifying Brain tumors is Craniopharyngioma Most common intraparenchymal calcifying Brain tumors is Oligodendroglioma